Most common cause ofAbdominal aneurysm is -
1. Atherosclerosis
2. Trauma
3. Marfan's syndrome
4. Congenital

Correct answer: 1. Atherosclerosis

Explanation: Ans. is 'a' i.e., AtherosclerosisAbdominal aortic aneurysm o The most common etiology for abdominal aortic aneurysm is atherosclerosis.o Atherosclerosis causes arterial wall thining through medial destruction secondary to plaque that originates in the intima.o Besides abdominal aorta, atherosclerotic aneurysm also occur in common iliac arteries, arch and descending part of thoracic aorta.o The usual site of abdominal aortic aneurism is below the origin of renal artery and above the bifurcation of the aorta.Remembero Most common cause of aortic aneurysm (overall) = Atherosclerosis.o Most common cause of ascending aortic aneurysm = Cystic medial necrosis.o Most common cause of descending aortic aneurysm = Atherosclerosis.o Most common cause of aneurysm of aortic arch = Atherosclerosis.o Syphilitic aneurysm affect = Ascending aorta.o Aneurysm of Takayasu arteritis affects = Aortic arch.o Most common cause of mycotic abdominal aneurysm = salmonella gastroenteritis.